Type of dengue serotypes are ?
1. 2
2. 4
3. 5
4. 10

Correct answer: 2. 4

Explanation: -Dengue is caused by dengue virus. - there are four virus serotypes which we designated as DENV1, DENV2, DENV3 and DENV4. Reference: Park's textbook of preventive and social medicine, 23rd edition, pg no:247